Most common cranial nerve involvement causing ophthalmoparesis in Guillain Barre syndrome is due to:
1. 6th nerve
2. 7th nerve
3. 8th nerve
4. 9th nerve

Correct answer: 1. 6th nerve

Explanation: The most common cranial nerve involved in GBS is the 7th cranial nerve involvement BUT the question was regarding cranial nerve involvement causing ophthalmo-paresis in G.B.S. Hence the Answer is a 6th cranial nerve. Remember the number 7-6-3 as cranial nerves involved in G.B.S. Ophthalmoparesis may be observed in up to 25% of patients with G.B.S. Limitation of eye movement most commonly results from asymmetrical palsy associated with cranial nerve VI. Ptosis from cranial nerve III (oculomotor) palsy also is often associated with limited eye movements.